The dental pulp contains nerve endings / receptors for
1. Pain
2. Pressure
3. Proprioception
4. Temperature

Correct answer: 1. Pain